Rabies can be transmitted by all of the following routes except -
1. Aerosol
2. Bites
3. Ingestion
4. Licks

Correct answer: 3. Ingestion

Explanation: RABIES:- Rabies, an acute highly fatal viral disease of CNS caused by Lyssavirus type 1( neurotropic RNA virus). Mode of transmission- Deep bite/ scratch by an infected animal. Dogs are the main host and transmitter if rabies. Transmission can also occur when infectious material usually saliva comes into direct contact with human mucosa/fresh skin wounds. Human to human transmission even though possible yet not confirmed. Rabies can be contracted by inhalation of virus containing aerosols / transplantation of an infected organ. Ingesting raw meat/ other tissues from animals infected with rabies is not a source of infection. {Reference: park's textbook of preventive and social medicine, 23rd edition, pg no.277}